All of the following are features of hypocalcemia, except:
1. Carpopedal spasm
2. Numbness and tingling in the circumoral region
3. Hyperactivity of tendon reflexes
4. Shortening of Q-T interval in ECG

Correct answer: 4. Shortening of Q-T interval in ECG

Explanation: ECG Changes Causes of QT prolongation on an ECG Causes of QT prolongation on an ECG: Congenital Stroke Hypokalemia Hypoglycemia Hypocalcemia Hypomagnesemia Myocardial infarction Intracranial hemorrhage Hypothyroidism, pituitary insufficiency Ref: ECG Interpretation: From Pathophysiology to Clinical Application By Fred Kusumoto, Page 74; Harrison's Internal Medicine, 18th Edition, Chapter 46